The water content in the lens is
1. 1%
2. 28%
3. 35%
4. 64%

Correct answer: 4. 64%

Explanation: (Refer: AK Khurana Comprehensive Ophthalmology, 6th edition, pg no. 181)The lens is composed of 64% water, 35% protein, and 1% lipid, carbohydrate and trace elements. The protein concentration in the lens is actually the highest amongst body tissues. The main types of proteins are alpha (31%), beta (55%) and gamma (2%) crystallins, and insoluble albuminoids (12%)